In a case controlled study. It is found that the disease is more common in the group taking coffee as compared to the control group. The significance of this is-
1. Cause and effect relationship established
2. Disease median can be calculated
3. Caffeine is associated with occurrence of disease
4. Controls will not get the disease

Correct answer: 3. Caffeine is associated with occurrence of disease

Explanation: Case-control studies basically comparison study. Cases and control must be comparable with respect to known "confounding factor "such as age , sex occupation, social status, etc. The questions asked relate to personal characteristics and antecedent exposures which may be responsible for the condition studied.